Epithelium is absent in lens on-
1. Anterior surface
2. Anterior pole
3. Posterior surface
4. At zonular attachment

Correct answer: 3. Posterior surface

Explanation: There is no epitheliunm on posterior surface.